Killed vaccine is
1. Hepatitis A
2. Measles
3. OPV
4. BCG

Correct answer: 1. Hepatitis A

Explanation: Hepatitis vaccine-2 types Formaldehyde inactivated vaccine Live attenuated vaccine -administered as a single subcutaneous dose (refer pgno:212 park 23 rd edition)